Best method of treatment of ulner never abscess in case of leprosy is –
1. High does of steroid
2. Incision and drainage
3. Thalidomide
4. High does of clofazamine

Correct answer: 2. Incision and drainage